Which of the following is the rich source of Vitamin B12?
1. Spinach
2. Mango
3. Meat
4. Carrot

Correct answer: 3. Meat

Explanation: Vitamin B12 Naturally found in animal products, includingfish, meat, poultry, eggs, milk, and milk products. Generally not present in plant foods, therefore strict vegetarians develop B12 deficiency. Vitamin B12 deficiencyleads to Megaloblastic anaemia Peripheral neuritis SCDSC